Rule of nine true is used to denote -
1. Depth of bums
2. % of total body surface area
3. Severity of bums
4. Type of bum

Correct answer: 2. % of total body surface area

Explanation: Ans. is 'b' i.e., % of total body surface area Extent of burnso The surface area burnt is more important than the degree of bum, in assessing prognosis of a given case. For example, a first degree bum over a wride area is more dangerous than a third degree bum over a limited area. For estimation of bum area, there is rule of 9 (Wallace's formula)a) In adults surface area is calculated by : -1. 9% for the head and neck.2. 9% for each upper limb.3. 9% for the front of each low-er limb.4. 9% for the back of each lowrer limb.5. 9% for the front of the chest.6. 9% for the back of the chest.7. 9% for the front of the abdomen.8. 9% for the back of the abdomen.9. 1 % for the genitalia.b) In children the calculation is slightly different which can be tabulated as follows :-Area of bodyIn Children(Lund and browder chart)In Adults(Rule of nine: Wallace's formula) 1-4 years5-9 years10-14 yearsAdultHead and Neck1915139Trunk (front)16161618 ( Front of chest - abdomen)Trunk back16161618 (Back of chest + abdomen)Upper limbs19191918 (Right-left upper limbs)Lower limbs30343536 (Front+back of right and left lower limbs)Genitals0011